Superficial reactive unit consists of all except :
1. Epidermis
2. Dermoepidermal junction
3. Reticular dermis
4. Superficial vascular plexus

Correct answer: 3. Reticular dermis

Explanation: Superficial reactive unit consists of: Epidermis Dermoepidermal junction Papillary dermis Superficial vascular plexus Deep reactive unit consists of: Reticular dermis Deep vascular plexus